True about corpus callosum -a) Unite far area of two sides of brainb) Connect two frontal lobec) Unite two hemisphered) Superiorly related to - Indusium griseume) Unite adjacent & widespread separated gyri in the same lobe
1. abcd
2. acd
3. bcd
4. abd

Correct answer: 1. abcd

Explanation: Corpus callosum connects homotopic (symmetrical) and hetrotopic (anatomically different but functionally similar) areas of two hemispheres.
Fibers of genu (forceps minor) connect medial and lateral surfaces of frontal lobes.
Upper convex surface is clothed intimately by indusium griseum, a thin sheet of grey matter.
Lower concave surface is related to septum pellucidum, ependyma of lateral ventricle, tela choroidea, and transverse fissure (containing great cerebral vein).